Drug of choice for herpes simplex virus infection is :
1. Acyclovir
2. Zidovudine
3. Indinavir
4. Ribavarin

Correct answer: 1. Acyclovir